A young female complains of genital wart, the agent implicated is:
1. Treponema pallidum
2. Adenovirus
3. Human papilloma virus
4. Pox virus

Correct answer: 3. Human papilloma virus

Explanation: Human papilloma virus